Left axis deviation is seen in all except
1. Left anterior hemi block
2. Inferior wall MI
3. ASD (Septum secundum)
4. Right pneumothorax

Correct answer: 3. ASD (Septum secundum)

Explanation: Ans. is 'c' i.e., ASD (Septum secundum) Cause of right axis deviation Causes of left axis deviation Left posterior, fascicular block Left ventricular hypertrophy Lateral myocardial infarction Left anterior fascicular block ASD septum secondum Inferior wall MI Right ventricular hypertrophy Ostium primum ASD Acute lung disease (e.g. PE) Left bundle branch block Chronic lung disease (e.g. COPD) WPW type A Ventricular ectopy Hyperkalaemia Sodium-channel blocker toxicity WPW syndrome Normal in children or thin adults with a horizontally positioned heart